Most common histopathological variety of carcinoma vulva -
1. Squamous cell carcinoma
2. Basal cell carcinoma
3. Adenocarcinoma
4. Lymphoma

Correct answer: 1. Squamous cell carcinoma

Explanation: Ans. is 'a' i.e., Squamous cell carcinoma Vulval cancerso They account for 2-4% of all malignancies of female genital tract.o They are seen mostly in the sixth or seventh deacde of life.o Younger patients with vulval cancer have associated HPV/HIV infection.o Smoking is a risk factor for the development of vulval cancer.o Vulval cancer is associated with cervical and ovarian cancer in 20% of the cases.o Squamous cell carcinomas are the most common histological type accounting for 85% of all vulval cancers.